A 60 year old male patient wants rehabilitation of missing teeth. Intra-oral examination reveals upper and lower edentulous arches. The casts were mounted using impression plaster. The W/P ratio for this gypsum product is-
1. 0.50-0.75
2. 0.45-0.50
3. 0.28-0.30
4. 0.22-0.24

Correct answer: 1. 0.50-0.75